Laryngocele arises from:
1. Vallecula
2. Laryngeal saccule
3. Laryngeal ventricle
4. Aryepiglottic fold

Correct answer: 2. Laryngeal saccule

Explanation: Laryngocele is dilatation of laryngeal saccule. It may be congenital or acquired later in life when conditions exist to increase transglottic pressure, e.g. trumpet blower, glass blower or forceful use of voice. It can also occur if saccule is obstructed by laryngeal carcinoma.Once distended saccule may also appear outside larynx through thyrohyoid membrane presenting as an external laryngocele.Vallecula and aryepiglottic folds are common sites for laryngeal cysts due to blockage of ducts of mucous secreting glands.